Hippocampal sclerosis is seen in
1. Juvenile myoclonic epilepsy
2. Lennox-Gastaut syndrome
3. Mesial temporal lobe epilepsy
4. Lafora's disease

Correct answer: 3. Mesial temporal lobe epilepsy

Explanation: Mesial temporal lobe epilepsy (MTLE) is the most common syndrome associated with focal seizures with dyscognitive features and is an example of an epilepsy syndrome with distinctive clinical, electroencephalographic, and pathologic features. Highresolution magnetic resonance imaging (MRI) can detect the characteristic hippocampal sclerosis that appears to be essential in the pathophysiology of MTLE for many patients Ref: Harrison 19e 2544